First to appear amongst the ossification centres about the elbow is:
1. Radial Head
2. Olecranon
3. Lateral epicondyle
4. Capitellum

Correct answer: 4. Capitellum

Explanation: D i.e. Capitellum